Maximum cation concentration in ECF is of-
1. K+
2. Ca+2
3. Cl-
4. Na+

Correct answer: 4. Na+

Explanation: Ans. is 'd' i.e., Na+ ComponentExtracellular fluid (ECF) (meq/1)Intracellular fluid (ICF) (meq/l)Na+K+C1-HCO3-Mg+2Ca+2PO4-21425.5103281[?]22[?]5414150410580 0001 75Protein (organic anion)5 (2g%)40 (16g %)